Family size is
1. Total number of family members in the family
2. Total number of female children born in the family
3. Total number of female children in the family considering the mortality
4. Total number of children a women has borne at a point of time

Correct answer: 4. Total number of children a women has borne at a point of time

Explanation: In common practice family size refers to total number of persons in a family In demography, family size means total number of children a woman has borne at a point of time Completed family size indicates total number of children born by a woman in her child bearing age Ref: Parks textbook of preventive and social medicine; Edition 23; Pg no: 485